Mucosal melanosis and hamartomatous polyps are seen in?
1. Peutz-Jeghers syndrome
2. Cronkhite Canada syndrome
3. Familial adenomatous polyposis
4. Hereditary non polyposis colonic cancer

Correct answer: 1. Peutz-Jeghers syndrome

Explanation: Peutz-jeghers syndrome: Autosomal dominant disorder Mutation- STK 11 / LKB1 gene Multiple gastrointestinal hamartomatous polyps + Mucocutaneous hyperpigmentation Increased risk for colon, pancreas, breast, lung, ovaries, uterus, testes neoplasms Gross- Polyps are large & pedunculated with lobulated contour.